Essential tremor does not exist in:
1. Hand
2. Head
3. Lips
4. Voice

Correct answer: 3. Lips

Explanation: Essential tremor Most common of all movement disorder. Higher in frequency and lower in amplitude than the tremor of PD. May be a form of enhanced physiological tremor, but recent evidence suggests a cerebellar abnormality. Often familial. Postural and action tremor that tends to affect the hands, head, and voice. Made worse by anxiety.